A 17-year old girl who was evaluated for short height was found to have an enlarged pituitary gland. Her T4 was low and TSH was increased. Which of the following is the most likely diagnosis?
1. Pituitary adenoma
2. TSH-secreting pituitary tumor
3. Thyroid target receptor insensitivity
4. Primary hypothyroidism

Correct answer: 4. Primary hypothyroidism

Explanation: The clinical picture of short stature with low T4 and elevated TSH suggests primary hypothyroidism. The enlarged pituitary can be explained by the feedback provided by low T4 in the blood. To rule out other choices Pituitary adenoma Can produce any hormone and if it produces TSH , then T4 should be elevated TSH Secreting pituitary tumor Both TSH and T4 should be elevated Thyroid target receptor insensitivity Autosomal dominant disorder insensitivity. Characterized by elevated thyroid hormone levels and inappropriately normal or elevated TSH. The clinical features of HRT(Resistance to Thyroid Hormone) can include goiter, attention deficit disorder, mild reduction in IQ, delayed skeletal maturation, tachycardia, and impaired metabolic responses to thyroid hormone. The clinical features of HRT can include goiter, attention deficit disorder, mild reduction in IQ, delayed skeletal maturation, tachycardia, and impaired metabolic responses to thyroid hormone